Wasserman test is
1. Agglutination test
2. Precipitation test
3. Neutralisation test
4. Complement fixation test

Correct answer: 4. Complement fixation test

Explanation: Ref: Ananthanarayana textbook of Microbiology 9th edition Pgno : 120 Complement fixation test Direct complement fixation test Wasserman test Syphilis Indirect complement fixation test T.pallidum immobilization test Syphilis Sabin Feldman dye test Toxoplasmosis Cytocidal test Vibrio Immunoadherence Vibrio , T.pallidum